Which of the following is the best indication for transfer of material blood components to an infant:
1. Plasma to prevent ITP
2. RBCs to prevent TA-GVH
3. Plasma to prevent NAIT (Neonatal Alloimmune Idiopathic Thrombocytopenia)
4. Platelets to prevent NAIT

Correct answer: 4. Platelets to prevent NAIT

Explanation: In all cases at risk for NAIT, maternal platelets should be available for transfusion after delivery, regardless of the antenatal treatment or previously obtained fetal platelet counts -- Danforth